A 67-year-old patient has been given a course of antibiotics by gluteal intramuscular injections after a major abdominal surgery.To avoid damaging the sciatic nerve during an injection, the needle should be inserted into which of the following areas?
1. Over the sacrospinous ligament
2. Midway between the ischial tuberosity andthe lesser trochanter
3. Midpoint of the gemelli muscles
4. Upper lateral quadrant of the gluteal region

Correct answer: 4. Upper lateral quadrant of the gluteal region

Explanation: To avoid damaging the sciatic nerve during an intramuscular injection, the clinician should insert the needle in the upper lateral quadrant of the gluteal region. The inserted needle in the lower medial quadrant may damage the pudendal and sciatic nerves. The inserted needle midway between the ischial tuberosity and the lesser trochanter may damage the sciatic and posterior femoral cutaneous nerves on the quadratus femoris. The inserted needle over the sacrospinous ligament may damage the pudendal nerve and vessels.